The presence of PAS-positive macrophages in the small intestine is a hallmark of
1. Whipple's disease
2. Crohn's disease
3. Celiac disease
4. Tropical sprue

Correct answer: 1. Whipple's disease

Explanation: Whipple's disease is a chronic multisystemic disease associated with diarrhoea, steatorrhea, weight loss, arthralgia, and central nervous system (CNS) and cardiac problems; it is caused by the bacterium Tropheryma whipplei. Until the identification of T. whipplei by polymerase chain reaction, the hallmark of Whipple's disease had been the presence of PAS-positive macrophages in the small intestine and other organs with evidence of diseaseThe treatment for Whipple's disease is double-strength trimethoprim-sulfamethoxazole for ~1 year. Harrison 19e pg: 1945